Which of the following enters the TCA cycle at succinyl CoA step
1. Tryptophan
2. Tyrosine
3. Glycine
4. Methionine

Correct answer: 4. Methionine

Explanation: Amino acids that enter at succinyl CoA step are:

Valine
Isoleucine
Methionine
Threonine.